A 6 years old boy presented with Complex seizures per day in spite of adequate 4 drug antiepileptic regime. He had history of repeated high-grade fever in childhood. MRI for epilepsy protocol revealed normal brain scan. Which of the following will not be helpful for functional imaging of brain?
1. MDCT
2. SPECT imaging
3. Interictal 18F-FDG PET
4. Video EEG with Ictal 99mTc- HMPAO study of brain

Correct answer: 1. MDCT

Explanation: Brain perfusion study using perfusion agents like Tc-99m HMPAO, i.e., Tc-9W6HMPAO brain SPECT is indicated in acute cerebral infarct imaging before evidence of CT/MRI pathology, when positive findings are seen with 1 hour of event. Brain metabolic rate and functional activity study by using 18F –FDG PET is indicated in focal epilepsy prior to seizure.
MDCT is not useful for functional studies of brain.